Not true about thalidomide:
1. Causes phocomelia
2. Not tested in pregnant animals before introduction
3. Still has restricted clinical use
4. Has no antiangiogenesis action against tumour

Correct answer: 4. Has no antiangiogenesis action against tumour

Explanation: Ans. (D) Has no antiangiogenesis action against tumour(Ref: KDT 6/e p84, 834)Thalidomide was banned in 1960 because of its teratogenic effect of phocomelia (seal like limbs). It has anxiolytic, adjuvant analgesic/antipyretic properties and has been found to counteract cancer associated cachexia.Its mechanism of action is by suppressing TNF and or by modulating IL-2.Recently it has been reintroduced as antineoplastic drug due to its anti-angiogenesis action.